Carcinoma maxillary sinus stage III (T3 M0 N0), treatment of choice is:
1. Radiotherapy
2. Surgery + Radiotherapy
3. Chemotherapy
4. Chemotherapy + Surgery

Correct answer: 2. Surgery + Radiotherapy

Explanation: (b) Surgery + Radiotherapy(Ref. Cummings, 6th ed., 1184)For all patients of carcinoma maxillary sinus (except small T1 lesions), the treatment is surgical resection (maxillectomy) followed by radiation therapy.